A 33 year old woman in New Jersy presented with a 1 day history of fever and chills. On examination, she was febrile with a blood pressure of 70/40 mmHg. Over several hours, a widespread erythrodermic rash developed. The female collapses. Further questioning revealed that the patient had removed a tampon shortly before presentation, as she had just ceased menstruating.
1. Haemolytic uraemic syndrome
2. E coli sepsis
3. Fungal infection
4. Toxic shock syndrome

Correct answer: 4. Toxic shock syndrome

Explanation: Toxic shock syndrome